Rate of induction of the anaesthesia is increased by all of the following except
1. agents with low blood gas solubility
2. high Cardiac Output
3. Second gas effect
4. high alveolar ventilation

Correct answer: 2. high Cardiac Output

Explanation: High cardiac output causes fast uptake of potent inhalational agent from alveoli thus slow speed of induction. rest all options maintain alveolar concentration .